Which of the following vascular changes is not observed during acute inflammation?
1. Vasodilation
2. Stasis of blood
3. Increased vascular permeability
4. Decreased hydrostatic pressure

Correct answer: 4. Decreased hydrostatic pressure

Explanation: In acute inflammation there is an increase in hydrostatic pressure due to increased blood from vasodilation. It is also associated with reduced osmotic pressure because of protein leakage secondary to increased permeability. Normal hydrostatic pressure is 3mmHg at the arterial end & 1mmHg at the venous end. Normal colloid osmotic pressure is 25mmHg. In acute inflammation hydrostatic pressure may increase to 50mm of Hg while osmotic pressure may reduce to 20mm of Hg. Ref: Robbins Pathologic Basis of Disease, 6th Edition, Pages 53-4